Most common malignancy in post-transplant individuals:-
1. Kaposi sarcoma
2. Squamous cell carcinoma of skin
3. PTLD
4. CNS lymphoma

Correct answer: 2. Squamous cell carcinoma of skin

Explanation: COMPLICATIONS OF IMMUNOSUPPRESSION INFECTION MALIGNANCY NON-IMMUNE SIDE EFFECTS High risk of infection by virusesQ (CMV InfectionQ)during first 6 months Recipient derived infectionsQare more common than donor derived infections Bacterial infection- during first monthQ Chemoprophylaxis is important in high risk patients Pre-transplant vaccination against community acquired infection should be considered MC malignancy in transplant recipient: Skin cancerQ (SCC) Increased risk of PTLD & Kaposi sarcoma Hypertension & chronic allograft nephropathy-Calcineurin inhibitorsQ New onset diabetes - Tacrolimus or steroidsQ Hyperlipidemia, anemia & accelerated cardiovascular diseaseQ Cardiovascular disease is the leading cause of death in transplant survivorsQ